Aldosterone receptors are present in all except
1. Liver
2. Colon
3. Hippocampus
4. Distal nephron

Correct answer: 1. Liver

Explanation: The mineralocorticoid receptor (or MR, MLR, MCR), also known as the aldosterone receptor or nuclear receptor subfamily 3, is a receptor with equal affinity for mineralocorticoids and glucocorticoids.mineralocorticoid receptor is expressed in many tissues, such as the kidney, colon, heart, central nervous system (hippocampus), brown adipose tissue and sweat glands. In epithelial tissues, its activation leads to the expression of proteins regulating ionic and water transports(mainly the epithelial sodium channel or ENaC, Na+/K+ pump, serum and glucocorticoid-induced kinase or SGK1) resulting in the reabsorption of sodium, and as a consequence an increase in extracellular volume, increase in blood pressure, and an excretion of potassium to maintain a normal salt concentration in the body.Ref: Ganong's review of medical physiology;24th edition; page no-364